Components of acellular pertussis vaccine
1. PT + FHA + Fimbriae
2. PT + cytotoxin + fimbriae
3. Endotoxin + fimbriae + pili
4. Pertactin + FHA + OMP + Fimbriae

Correct answer: 1. PT + FHA + Fimbriae

Explanation: aP Avoids neuro side effects of whole cell pertussis but less immunogenic